Empirical treatment for meningococcal meningitis is:
1. Ceftriaxone
2. Cefotetan
3. Gentamicin
4. Cefoxitin

Correct answer: 1. Ceftriaxone

Explanation: Ans. (A) Ceftriaxone(Ref: Harrison 19/e p767)Drug of choice for treatment of meningococcal meningitis is Penicillin G. But for empirical treatment we need to cover other likely organisms too. So, ceftriaxone is preferred that will also cover H. influenzae. Vancomycin is usually added to cover other organisms also.